Discoloration and accelerated wear is seen in composite restoration, if a patient is using a toothpaste having:
1. Stannous flouride
2. Calcium carbonate
3. Chloroform
4. Both 2 and 3

Correct answer: 4. Both 2 and 3

Explanation: Calcium carbonate is a surface abrasive and causes wear.
Chloroform causes softening of the composite matrix and causes discoloration.